All are associated with wilms tumour except one :
1. Anirida
2. Male pseudohermaphrodite
3. Arthogryposis multiplex congenita
4. Hemihypertrophy

Correct answer: 3. Arthogryposis multiplex congenita

Explanation: Ans. is 'c' ie Arthrogryposis multiplex congenita Anomalies associated with Wilms' tumorHemihypertrophy*Aniridia*Genitourinary anomalies *Beckwith - Wiedemann syndrome*Perlman syndromeWAGR syndrome*Wilms tumor,AniridiaGenitourinary anomalies (esp. horse shoe kidney), &Retardation of intellect)CryptorchidismDennis Drash syndromeHypospadiasSo children with these anomalies and syndromes should be carefully followed for subsequent development of Wilms tumor.Also KnowChromosomal anomalies associated with Wilms' tumor - 8th & 11th*MC and earliest sym. - Abdominal lump*MC site of distant metastasis - lung*